A young female patient with long history of sinusitis presented with frequent fever along with personality changes and headache of recent origin. The fundus examination revealed papilledema. The most likely diagnosis is :
1. Frontal lobe abscess
2. Meningitis
3. Encephalitis
4. Frontal bone osteomyelitis

Correct answer: 1. Frontal lobe abscess

Explanation: Answer is A (Frontal lobe abscess) : Development of headache, fever and papilledema in the setting of sinusitis suggest an infective pathology causing raised introcranial tension. Further, presence of personality changes suggest a mass lesion affecting the frontal lobe. A brain abscess typically presents as an expanding intracranial mass lesion, and the presence of personality changes limits such a mass lesion to the frontal lobe. A frontal lobe abscess thus explains the presence of an infectious mass lesion causing personality changes.